"Signet ring appearance'- on CT is seen in-
1. Bronchitis
2. Bronchiectasis
3. Emplysema
4. Bronchogenic Carcinoma

Correct answer: 2. Bronchiectasis